Neil Mooser reaction or Tunica reaction is useful to differentiate between?
1. R. prowazekii & R. typhi
2. R. typhi & R. rickettsii
3. R. prowazekii & R. rickettsii
4. R. rickettsii & C. burnetti

Correct answer: 1. R. prowazekii & R. typhi

Explanation: R. prowazekii & R. typhi Self Assessment & Review Microbiology Immunology 4th edition by Chaurasia page 224, Textbook of Microbiology & Immunology by Subhash Chandra Parija page 427 "R. typhi is differentiated from R. prowazekii by Neil Moser reaction and by partial DNA homology" NEIL MOSER REACTION: Neil Moser or tunica reaction is performed in an adult male guinea pig. In this test, the specimen such as blood from the case of epidemic typhus or R. typhi culture is inoculated intraperitoneally in guinea pig. The animal is observed for for development of fever and characteristic scrotal inflammation. In a positive test the scrotum becomes enlarged and the testis can not be pushed back into the layer of tunica vaginalis. Neil -Mooser or tunica reaction is positive in R. typhi (R. mooseri), R. conori, R. akari and negative for R.Prowazekii